Which of the following fracture is not managed by compression screws?.
1. Transverse fracture of medial malleolus
2. Oblique fracture of medial malleolus
3. Spiral fracture of lateral malleolus
4. Comminuted fracture of lateral malleolus

Correct answer: 4. Comminuted fracture of lateral malleolus

Explanation: Techniques of internal fixation used in ankle fracture depending on site of fracture:- Medial malleolus fractures:- Lateral malleolus fractures:- Fractures of fibula - Transverse fracture- compression screws Transverse fracture- tension band wiring Fracture of lower one third of fibula - 4 hole plate Oblique fracture- compression screws Spiral fracture- compression screws Undisplaced/non articular/avulsion small fracture- can be managed non operatively Avulsion fracture- tension band wiring Comminuted fracture- buttress plating Suprasyndesmotic injury- buttress plating Spiral fracture- compression screws(lag screw)